Wegener's granulomatosis is diagnosed by:
1. P-ANCA
2. c-ANCA
3. m-ANCA
4. A.N.A

Correct answer: 2. c-ANCA

Explanation: Ans. (b) c-ANCARef.:Harrison 18th edition, Chapter 326:* c- ANCA= Wegener granulomatosis/Granulomatosis with angitis* p-ANCA# Microscopic polyangitis# Primary sclerosing cholangitis# Churg strauss syndromeThe terminology of cytoplasmic ANCA (cANCA) refers to the diffuse, granular cytoplasmic staining pattern observed by immunofluorescence microscopy when serum antibodies bind to indicator neutrophils. Proteinase-3, a 29-kDa neutral serine proteinase present in neutrophil azurophilic granules, is the major cANCA antigen.